Goniometer is used for:
1. Amount o vaginal secretions
2. To measure width of genital hiatus
3. Gonococcal colony count
4. Urethrovesical angle

Correct answer: 4. Urethrovesical angle

Explanation: Goniometer: It is an instrument used to measure an angle Utherovescial angle is measured in Gynecology using this instrument Ref: Internet sources.